The screening investigation of high risk neonates in ICU for suspected hearing loss is:
1. Otoacoustic emissions
2. Free field audiometry
3. Stapedial reflex testing
4. Pure tone audiometry

Correct answer: 1. Otoacoustic emissions

Explanation: The screening investigation of choice of high-risk neonates in ICU for suspected hearing loss is otoacoustic emissions.